Tylosis refers to:
1. Hypertrophy and drooping of eyelid
2. Inversion of eyelid
3. Senile eversion of eyelid
4. Distortion of cilia

Correct answer: 1. Hypertrophy and drooping of eyelid

Explanation: Ans. Hypertrophy and drooping of eyelid